Where will be the placement location for Auditory Brainstem Implant?
1. Scala tympani
2. Recess of 4th ventricle
3. IAC
4. back of ear

Correct answer: 2. Recess of 4th ventricle

Explanation: The implant is usually placed in the lateral recess of the fourth ventricle at the time of tumor resection to stimulate the cochlear nucleus Auditory Brainstem Implant (ABI): * Tumor resection surgery in NF patients result in cochlear nerve damage or loss of function of nerve resulting in deafness. * ABI are useful in restoring auditory perception to deaf patients with neurofibromatosis type 2 (NF2) * Also used in treatment of congenitally deaf children with cochlear malformations or cochlear nerve deficiencies. * Placement location: Lateral recess of 4th ventricle REF : HAZARIKA 4TH ED